Hesitation cuts are seen in a case of:
1. Homicide
2. Suicide
3. Accident
4. Fall from height

Correct answer: 2. Suicide

Explanation: Ans. Suicide